Most reactive free radical is:
1. Superoxide
2. Hydroxyl
3. Peroxide
4. Carboxyl

Correct answer: 2. Hydroxyl

Explanation: Hydroxyl radical is the most reactive free radical.